The ganglion to be avoided while doing cervical sympathectomy to avoid Horner syndrome
1. T1
2. T2
3. T3
4. T4

Correct answer: 1. T1

Explanation: Cervical sympathectomy Open cervical sympathectomy was previously performed for vasospastic conditions affecting the hands and to treat palmar (sometimes axillary) hyperhidrosis. The operation is now obsolete, having been replaced by endoscopic transthoracic sympathectomy. Furthermore, it has been increasingly recognised that the vasospastic conditions do not respond to this form of treatment, rendering the endoscopic intervention a therapy that is suitable solely for hyperhidrosis. Ref: Bailey and love 27th edition Pgno : 968